Lymphocytes are located in each of the following tissues or organs EXCEPT one. The one exception is -
1. Brain
2. Spleen
3. Lymph nodes
4. Thymus gland

Correct answer: 1. Brain